In fluid replacement following a 20% BSA burn, the fluid requirement for the initial 24-hour period is dependent on which of the following?
1. Patient's weight
2. Serum Na
3. CO level
4. Acid base status

Correct answer: 1. Patient's weight

Explanation: In burns, the Parkland formula is used to calculate initial fluid management. Fluid requirement =4xweight(kg)x% second and third degree BSA. Half this volume is given over the first 8 hours from time of the burn and the other half over the next 16 hours. After the initial 24-hour period, clinical parameters are used to guide fluid management.